Which of the following is a lung fluke?
1. Paragonimus westermani
2. Metagonimus yokogawai
3. Fasciola pulmanaritica
4. S. japonicum

Correct answer: 1. Paragonimus westermani

Explanation: Paragonimus westermani is the major species of lung fluke that infects humans, causing paragonimiasis.
The species sometimes is called the Japanese lung fluke or oriental lung fluke. 
Paragonimiasis is a food-borne parasitic infection caused by the lung fluke.
It may cause a sub-acute to chronic inflammatory disease of the lung. 
Transmission of the parasite P. westermani to humans and mammals primarily occurs through the consumption of raw or undercooked seafood. 
There is no vector, but various snail and crab species serve as intermediate hosts. 
In Japan and Korea, the crab species Eriocheir is an important item of food as well as a notable second intermediate host of the parasite from infection to oviposition (laying eggs) is 65 to 90 days. 
Infections may persist for 20 years in humans.